A child presents with macroglossia, omphalocele and hemihypertrophy of limbs what is the most probable diagnosis?
1. WAGR syndrome
2. Rhabdomyosarcoma
3. Parinaud syndrome
4. Beck with - Weidmann syndrome

Correct answer: 4. Beck with - Weidmann syndrome

Explanation: Beckwith - Wiedmann syndrome :

Oragnomeagly seen like macroglossia, omphalocele, hemihypertrophy, adrenal cytomegaly.
There is increased risk of Wilm's tumour.